Skin and facia of great toe drains into ?
1. Vertical group of superficial inguinal lymph nodes
2. Horizontal group of superficial inguinal lymph nodes
3. Obturator lymph nodes
4. Deep inguinal lymph nodes

Correct answer: 1. Vertical group of superficial inguinal lymph nodes

Explanation: Ans. is 'a' i.e., Vertical group of superficial inguinal lymph nodes Lymphatics from skin and superficial fascia of great toe accompany great saphenous vein and drain into vertical group of superficial inguinal lymph nodes.